The drug of choice for absence seizure
1. Valproate
2. Phenytoin
3. Carbamazepine
4. Pregabalin

Correct answer: 1. Valproate

Explanation: Valproate is the drug of choice for absence seizure.